Compounds with a large amount of carbohydrate & small amount of protein -
1. Glycoprotein
2. Glycosaminoglycan
3. Proteoglycan
4. Glycocalyx

Correct answer: 3. Proteoglycan

Explanation: A large amount of carbohydrate small amount of protein → Proteoglycans.
A large amount of protein small amount of carbohydrate → Glycoproteins.